All are true about heparin induced thrombocytopenia (HIT), EXCEPT:
1. Thrombocytopenia is not severe usually
2. Associated with bleeding especially from GI tract
3. Marked increase in thrombosis
4. HIT can occur after exposure to low molecular weight heparin

Correct answer: 2. Associated with bleeding especially from GI tract

Explanation: Drug induced thrombocytopenia due to heparin has some special features. It will not lead to bleeding. Marked thrombocytopenia < 20,000 is rare. Thrombosis is a major complication. Ref: Harrisons principles of internal medicine, Edition -18, Page - 967